All of the following drugs can cause ductopenic cholestasis, EXCEPT:
1. Carbamazepine
2. Chlorpromazine
3. TCA
4. Oxacillin

Correct answer: 4. Oxacillin

Explanation: Disappearance of bile ducts ie ductopenic cholestasis similar to chronic rejection following liver transplantation is seen with Carbamazepine Chlorpromazine Tricyclic antidepressant Ref: Harrison, Edition-18, Page-2562